Most common sinus predisposed to malignancy which of the following?
1. Ethmoid
2. Maxillary
3. Frontal
4. Sphenoid

Correct answer: 2. Maxillary

Explanation: Ans. is 'b' i.e., Maxillary * The majority of paranasal sinus malignancies (50-80%) originate within the maxillary sinus antrum.Sinuses and various conditions in which sinuses are affected in descending order of frequency* Developmental-MESF* Sinusitis-MEFS* Mucocele-FEMS* Orbital complication-EFMS* Fungal ball-MSEF* Osteoma-FEMS* Cancer-MEFS* Where, M - Maxillary sinus E - Ethmoid sinus F- Frontal sinus S - Sphenoid sinus.